Chorionic villus sampling is generally performed between
1. 8 to 10 weeks
2. 10 to 13 weeks
3. 15 to 18 weeks
4. 20 to 24weeks

Correct answer: 2. 10 to 13 weeks

Explanation: Biopsy of chorionic villi is generally performed between 10 and 13 weeks gestation. Although most procedures are performed to assess fetal karyotype, numerous specialized genetic tests can also be performed by chorionic villus sampling (CVS). The primary advantage of villus biopsy is that results are available earlier in pregnancy, allowing safer pregnancy termination if desired.